Sex worker with discharging ulcer, gram negative diplococci & growth on modified Thayer martin media. Diagnosis ?
1. N. gonococci
2. Syphilis
3. LGV
4. Chaneroid

Correct answer: 1. N. gonococci

Explanation: Ans. is 'a' i.e., N. gonococci Information in this question are ? Gram negative diplococci. Growth on modified Thayer-martin media. o Neisseria gonorrhoeae is a gram negative diplococci and Thayer-martin medium is the selective medium for gonococci. Lab diagnosis of gonorrhea Urethral discharge is the most important specimen. Transport media La It processing is to occur within 6 hrs ---> Stuart medium or A mies medium. If processing is to occur > 6 hrs --> JEMBEC or Gono - Pak system (media with self - contained CO2 -generating system). Cluture media In acute cases --> Chocolate agar or Muller - Hinton agar. In chronic cases ---> Selective medium - Thayer main medium. Normally the diagnosis of gonorrhoea is made by isolating the organism in culture. It may not be possible to obtain gonococci in culture from some chronic cases or from patients with metastatic lesions such as arthritis. Serological test may be of value in such instances. In serological tests antibodies to gonococcal pili, LPS and outer membrane proteins are detected. o Various tests are ? Complement fixation text Precipitation Passive agglutination lmmunofluorescence Radioimmunoassay Enzyme - linked immunosorbent assay (ELISA) However, no serological test has been found useful for routine diagnostic procedure.Immunobloting